In contrast to heparin, enoxaparin:
1. Can be used without monitoring the patient's aPTT
2. Is less likely to have a teratogenic effect
3. Is more likely to be given intravenously
4. Is more likely to cause thrombosis and thrombocytopenia

Correct answer: 1. Can be used without monitoring the patient's aPTT

Explanation: Enoxaprin is a LMW heparin. It does not require monitoring. Both heparin as well as enoxaprin do not cross placenta and are not teratogenic.